Left ventricular hypertrophy is not a feature of-
1. Mitral regurgitation
2. Isolated mitral stenosis
3. Isolated ventricular septal defect
4. Aortic stenosis

Correct answer: 2. Isolated mitral stenosis

Explanation: The most common cause of LVH is high blood pressure (hypertension). Other causes include athletic hypertrophy (a condition related to exercise), valve disease, hypertrophic cardiomyopathy (HOCM), and congenital heart disease not a feature of isolated mitral stenosis Ref Davidson 23rd edition pg 445